The roof of pterygo-mandibular space is formed by
1. Temporalis muscle
2. Medial pterygoid muscle
3. Cranial base
4. Lateral pterygoid

Correct answer: 4. Lateral pterygoid